Peptidyl transferase is a/an
1. Enzyme
2. Catalyst
3. Ribozyme
4. Elongation factor

Correct answer: 3. Ribozyme

Explanation: The Peptidyl transferase is an aminoacyltransferase (EC 2.3.2.12) as well as the primary enzymatic function of the ribosome, which forms peptide bonds between adjacent amino acids using tRNAs during the translation process of protein biosynthesis.